Commonest site of march # is -
1. Involves shaft of 2 & 3rd metatarsals
2. Avulsion # of 5th metatarsals
3. Calcaneus involved
4. Olecranon involved

Correct answer: 1. Involves shaft of 2 & 3rd metatarsals

Explanation: March fracture is fatigue (stress) fracture of metatarsals.
The fracture usually affects the shaft or neck of the second and third metatarsal bone.